Dysphoria is mediated by which opoid receptor -
1. Mu
2. Kappa
3. Delta
4. None

Correct answer: 2. Kappa

Explanation: Ans. is 'b' i.e., Kappa o Euphoria Mu receptors Dysphoria --> Kappa receptors